Single most important feature to diagnose fetal aneuploidy:
1. Increased nuchal translucency
2. Absent nasal bone
3. Cystic hygroma
4. Abnormal ductus venosus flow

Correct answer: 1. Increased nuchal translucency

Explanation: Ans: (a) Increased nuchal translucencyRef: Current Progress in Obstetrics and Gynecology, John Stud, Volume Page 17Ultrasound markers of fetal aneuploidy:Nuchal translucency is the single most powerful tool. More than 3 mm needs evaluationAbsence of nasal boneAbsence or reversal of flow in the ductus venosus on DopplerTricuspid regurgitationIncrease in frontomaxillary angle more than 85 deg